Max. Joseph's space is a histopatho-logical feature of –
1. Psoriasis vulgaris
2. Lichen planus
3. Pityriasis rosea
4. Parapsoriasis

Correct answer: 2. Lichen planus

Explanation: Max Joseph histological clefts are produced as a result of separation of epidermis in small clefts. These clefts are seen in Lichen planus.